The primary role of chaperones is to help in?
1. Protein synthesis
2. Protein degradation
3. Protein de-naturation
4. Protein folding

Correct answer: 4. Protein folding

Explanation: Ans. (d) Protein foldingRef Harper's 28/e, chapter 45, Table 45-5, Table 45-6